The simple columnar or cuboidal epithelium lining the extrahepatic biliary ducts is derived from
1. Mesoderm
2. Endoderm
3. Ectoderm
4. Neuroectoderm

Correct answer: 2. Endoderm

Explanation: liver gall bladder and biliary apparatus develop from an endodermal diverticulum that arises from ventral aspect of terminal forgut The epithelium lining the extrahepatic biliary ducts is derived from endoderm. The intrahepatic biliary ducts are also derived from endoderm.